Characteristic of Bacillus cereus food poisoning is:
1. Presence of fever
2. Presence of abdominal pain
3. Absence of vomiting
4. Absence of diarrhoea

Correct answer: 2. Presence of abdominal pain

Explanation: Ans. is 'b' i.e., Presence of abdominal painBacillus cereus food poisoning is of two types. Emetic type and Diarrheal type. Abdominal cramps are common feature in both. Other features are:(a) Emetic Type: History of intake of fried rice from Chinese restaurant 6 hours earlier. Mediated by enterotoxin resembling Staphylococcal Enterotoxin.(b) Diarrhoeal Type: History of intake of cooked meat and vegetables 8-16 hours earlier. Mediated by enterotoxin resembling E. coli.